The latch-bridge mechanism in smooth muscle is responsible for:
1. Fast muscle twitch
2. Sustained muscle contraction
3. Excitation-contraction coupling
4. Unstable membrane potential

Correct answer: 2. Sustained muscle contraction

Explanation: Ans. B. Sustained muscle contractionThe twitch duration in sphincters and smooth muscle is particularly longer. Latch bridges are actomyosin complexes that detach slowly; this is made possible by a slow myosin ATPase. In turn, this enables maintenance of tension for longer periods without consumption of more ATP.